Which of the following drugs is not an anticonvulsant ?
1. Phenytoin
2. Flunarizine
3. Topiramate
4. Phenobarbitone

Correct answer: 2. Flunarizine